LE cell is seen in -
1. Lupus erythmatosus
2. Lupus vulgaris
3. HNPCC
4. Medullaiy carcinoma of thyroid

Correct answer: 1. Lupus erythmatosus

Explanation: Ans. is 'a' i.e., Lupus erythematosus o In SLE, antinuclear antibodies (ANPs) cannot penetrate intact cells,o However, nuclei are exposed, ANA can bind to them.o In tissues, nuclei of damaged cells react with ANAs, lose their chromatin pattern, and become homogeneous, to produce lupus - erythematosus (LE) bodies or hemotoxylin bodies,o When these LE bodies are engulfed by phagocytic cells (neutrophil or macrophage/monocyte), the phagocytic cells are called LE cells.